Headache with bitemporal hemianopia with 6/6 vision is seen in:
1. Optic neuritis
2. Trauma
3. Chiasmal lesion
4. Bilateral cavernous lesion

Correct answer: 3. Chiasmal lesion

Explanation: Ans. Chiasmal lesion